Wernicke's encephalopathy is seen in all conditions, EXCEPT:
1. Chronic alcoholic
2. Hyperemesis gravidarum
3. Peritoneal dialysis patients
4. Hypothyroidism

Correct answer: 4. Hypothyroidism

Explanation: Wernicke's encephalopathy Wernicke's encephalopathy (WE) is found in 8.9- 12.5% of individuals with Chronic alcoholism It is also seen in nonalcoholic patients with Protracted starvation Hyperemesis gravidarum Gastrointestinal operations for morbid obesity Infusion of glucose solutions for parenteral nutrition without proper thiamine supplementation. Hemo- and peritoneal dialysis Patients with various cancers, Bone marrow transplantation AIDS. Ref: Thorarinsson BL, Scientific Paper Review